Which of these is not a sign of increased ICT:
1. Erosion of dorsum sella
2. Sutural diastases
3. Ballooning of sella
4. copper-beaten appearance

Correct answer: 3. Ballooning of sella

Explanation: Ballooning of sella Ballooning of sella is seen in intrasellar neoplasm or empty sella syndrome The radiological signs of raised ICT on plain x-ray depend on the age of the patient and the duration of the elevated ICT. The radiological sign of raised ICT on plain x-rays are: a. Suture diastasis: - Seen only in infants and children - Suture diastasis is the first and most prominent sign of raised ICT in infants and children. b.Increased convolutional markings (Copper beaten appearance) - seen in children - Copper beaten appearance was attributed to raised ICT in past, but recent books say, it has little diagnostic importance. It may also be seen in normal children. c. Erosion of dorsum sellae - Erosion of the dorsum sellae is the cardinal sign of raised ICT in adults - Frank erosion of sella may also be seen in local tumors. d.J-shaped sella - Direct pressure on the sella by tile an'erior end of an enlarged third ventricle in chronic hydrocephalus may give rise to a J-shaped sella. e. Pineal displacement - Pineal displacement is an important sign in adults, but not in infants and children as pineal gland is rarely calcified in infants and children. - In standard PA view of skull, the pineal gland lies within 3 mm of the midline. - Any lateral displacement of pineal gland more than 3 mm strongly suggests presence of intracranial tumor.